Attack rate is:-
1. Incidence of the disease
2. Prevalence of the disease
3. Killing power of the disease
4. Incubation period of the disease

Correct answer: 1. Incidence of the disease

Explanation: Attack Rate Is synonymous with disease incidence. Other synonyms include risk/ hazard. Incidence = x 1000 .